Which is the treatment of choice for CA head of pancreas -
1. Radiotherapy
2. Chemotherapy+ Radiotherapy
3. Whipple's Surgery
4. Resection of the entire pancreas with adjuvant chemotherapy

Correct answer: 3. Whipple's Surgery

Explanation: Ans. is 'c' i.e., Whipple's Surgery Whipples operation (Pancreaticoduodenectomy)o Is the most commonly performed operation for carcinoma of head of pancreas, o It includes resection of:# distal stomach# Duodenum# gall bladder# Proximal jejunum# CBD# Regional lymphatics# head ot pancreaso Restoration of gastrointestinal continuity requires# pancreaticojej unostomy# choledochojejunostomy &# gastrojejunostomyo In pylorus preserving pancreaticoduodenectomy the pylorus is spared.